True about Simon's haemorrhage
1. Seen in cases of drowning
2. Bleeding onto outer layers of intervertebral discs
3. Seen in thoracic region
4. Pathognomic sign of asphyxia

Correct answer: 2. Bleeding onto outer layers of intervertebral discs

Explanation: Simon's haemorrhage : - Seen in cases of hanging - Bleeding onto outer layers of intervertebral discs - Seen in lumbar region - Seen in bodies suspended for a long time